The following drugs are useful in the treatment of isoniazid poisoning :
1. Pyridoxine
2. Diazepam
3. Bicarbonate
4. All of the above

Correct answer: 4. All of the above